In a pregnant woman of 28 weeks gestation IUD is earliest demonstrated on X-ray by :
1. Increased flexion
2. Overlapping of cranial bone
3. Spalding's sign
4. Gas in vessels

Correct answer: 4. Gas in vessels

Explanation: Ans. is d i.e. Gas in vessels Roberts sign i.e. presence of gas shadow in the chambers of the heart and great vessels. It is the earliest sign seen after IUD (12 hours after fetal death). Spalding sign i.e. overlapping of skull bones appears 7 days after death. Hyperflexion of the spine occurs in IUD and is more common. Sometimes hyperextension of neck may also be seen but they are late features.